The reaction which requires HMG–COA reductase activity
1. β-hydroxy–β-methyl glutaryl COA → Mevalonic acid
2. Acetyl COA + CO2 + ATP → Malonyl COA + ADP+ Pi
3. L-methylmalonyl-CoA Succinyl COA
4. Lactose + H2O → Glucose + Galactose

Correct answer: 1. β-hydroxy–β-methyl glutaryl COA → Mevalonic acid